'Sigmoid' esophagus on Ba Swallow is seen in
1. Achalasia cardia
2. Scleroderma
3. Diffuse esophageal spasm
4. Carcinoma esophagus

Correct answer: 1. Achalasia cardia

Explanation: Esophageal motility disorders like diffuse esophageal spasm, presbyesophagus and nutcracker esophagus may show "cork screw" apperance.